The Psychological disorder most commonly associated with myxedema
1. Mania
2. Depression
3. Phobia
4. Paronia

Correct answer: 2. Depression

Explanation: B i.e. Depression